All of the following statements about Chlamydia Trachomatis are true, except:
1. Genital Chlamydial Infections are often Asymptomatic
2. Can be cultured
3. Inclusion conjunctivitis is caused by C. Trachomatis serotypes D - K
4. Penicillin is the treatment of choice

Correct answer: 4. Penicillin is the treatment of choice

Explanation: The 1st line treatment regimens recommended by the CDC for uncomplicated infection in men and non pregnant women are Azithromycin 1gm single dose or Doxycycline 100 mg twice daily for 7 days. Ref: Kliegman, Behrman, Jenson, Stanton (2008), "Nelson Textbook of Pediatrics",; Chapter 223, "Chlamydia Trachomatis", Volume 1, Page 1285; Textbook of Medical Microbiology By Ananthnarayanan, 7th Edition, Pages 424-25; Lippincott's Microbiology, 2nd Edition, Pages 179-80; Medical Microbiology By Murray, 6th Edition, Page 446